False about medullary cancer thyroid
1. Secrete Calcitonin
2. 20-25% are familial
3. Diarrhea are seen in 30%
4. These cancers take up Radioactive Iodine

Correct answer: 4. These cancers take up Radioactive Iodine

Explanation: Ans. (d) These cancers take up Radio iodineRef: Bailey and Love 27th Edition Page 820* Medullary thyroid cancers are not hormone dependent (Not TSH dependent)* They don't take up RAI* Differentiated thyroid Cancers - Papillary and follicular take up Radio active iodine and used in cases of treatment of high risk cases.